Elek's gel precipitation test used for diagnosing:
1. Corynebacterium Jakeium
2. Corynebacterium diphtheriae
3. Clostridium tetani
4. Clostridium perfringens

Correct answer: 2. Corynebacterium diphtheriae

Explanation: Elek's gel precipitation test is an example of double diffusion in two dimensions. It is used to demonstrate C. dipthariae. Precipitation band: If the strain is toxigenic, the toxin diffuses in the agar, meets with the antitoxin and produces arrow-shaped precipitation band. Nontoxigenic stain will not produce any precipitation line. The precipitate lines would fuse with each other if the toxins produced by die strains are identical.